Most common complication of splenectomy is:
1. Hematemesis
2. Left lower lobe atelectasis
3. Peritoneal effusion
4. Acute dilatation of stomach

Correct answer: 2. Left lower lobe atelectasis

Explanation: COMPLICATIONS OF SPLENECTOMY Pulmonary Complications: Left lower lobe atelectasis : MC complication Pleural effusion Pneumonia Thromboembolic Complications: DVT Portal vein thrombosis Hemorrhage Complications: Subphrenic hematoma Infectious Complications: Subphrenic abscess Wound infection